Angiotensin receptor blocker with PPAR Gamma activity?
1. Candesartan
2. Valsartan
3. Telmisartan
4. Losartan

Correct answer: 3. Telmisartan

Explanation: Among ARBs, Telmisartan had PPAR-Gamma agonist activity.Ref: